Stage of falciparum not seen in Peripheral blood smear is
1. Schizont
2. Gametocyte
3. Ring form
4. Double ring

Correct answer: 1. Schizont

Explanation: 1. In P. falciparum infection, the later stages of erythrocytic cycle occur in the capillaries of brain and internal organs. Hence only ring forms are found in peripheral blood by microscopic examination but not late trophozoites and Schizonts. 2. In PBS, all asexual erythrocytic stages, as well as gametocytes can be seen in peripheral blood of P. vivax, P. ovale and P. malariae infections but in P. falciparum infection, only ring form and gametocytes can be seen.